All are used to remove potassium in hyperkalemia except
1. Cation exchange resins
2. Diuretics
3. Beta 2 agonists
4. Dialysis

Correct answer: 3. Beta 2 agonists

Explanation: The treatment of hyperkalemia is divided into three stages: Immediate antagonism of the cardiac effects of hyperkalemia 10 mL of 10% calcium gluconate (3-4 mL of calcium chloride), infused intravenously over 2-3 min with cardiac monitoring Rapid reduction in plasma K+ concentration by redistribution into cells. 10 units of intravenous regular insulin followed immediately by 50 mL of 50% dextrose (D50W, 25 g of glucose total) 10-20 mg of nebulized albuterol in 4 mL of normal saline, inhaled over 10 min Intravenous bicarbonate has no role in the acute treatment of hyperkalemia, but may slowly attenuate hyperkalemia with the sustained administration over several hours Removal of potassium. This is typically accomplished using cation exchange resins, diuretics, and/or dialysis. The cation exchange resin sodium polystyrene sulfonate (SPS) exchanges Na+ for K+ in the gastrointestinal tract and increases the faecal excretion of K+; Ref: Harrison 19e pg: 312